True about H mole:a) Always associated with raised uterine size for gestational ageb) Raised hCGc) Hysterectomy in selected casesd) Chemotherapy is the treatment of choicee) Thyrotoxicosis rare
1. ab
2. bc
3. bce
4. ace

Correct answer: 3. bce

Explanation: Lets have a look at each option separately -
Option ‘a’: Always asociated with raised uterine size for gestational age.
This statement is incorrect as :
“The size of the uterus is more than that expected for the period of amenorrhea in 70%, corresponds with the period of amenorrhea in 20% and smaller than the period of amenorrhea in 10%.”
Dutta Obs. 7/e, p 193
Option ‘b’: Raised hCG - H. mole is characterised by raised levels of hCG (levels > 105 MIU/ml)
Dutta Obs. 7/e, p 193
Option ‘c’: Hysterectomy in selected cases :
Management of H.mole :

TOC in H. mole – Suction evacuation followed by gentle but thorough currettage.
Hysterectomy – It is indicated only in case of :

                                  – Female has completed her family

Hysterotomy – Indicated in cases complicated by haemorrhage.

So, option ‘c’ i.e. hysterectomy is done in selected cases is correct whereas option ‘d’ i.e. chemotherapy is the TOC is incorrect.
Option ‘e’:
As far as thyrotoxicosis is concerned :
It is seen in only 2% cases of H.mole. It is rare (so, option ‘e’ is correct).
“Clinically apparent thyrotoxicosis is unusual.”
William 23/e, p 260